Highest amount of protein is seen in:
1. Soya beans
2. Ground nut
3. Bengal gram
4. Mysore dhal

Correct answer: 1. Soya beans

Explanation: Ans: aRef: Park, 17th ed, p 428, Table (19) & 18th ed, p. 454